Agents/Drugs which help in rapid coagulation of Blood
1. Astringents
2. Styptics
3. Haemostatics
4. All of the above

Correct answer: 4. All of the above